Which one of the following is a distinguishing feature of Edward's syndrome-
1. Hypotonia
2. Hypotelorism
3. Holoprosencephaly
4. Rocker bottom feet

Correct answer: 4. Rocker bottom feet

Explanation: Ans. is 'd' i.e., Rocker bottom feet